Who proposed the classification of primary dentition based on distal surface of second molar?
1. Angle
2. Baume
3. Simon
4. Dewey

Correct answer: 2. Baume

Explanation: Classification of Primary Dentition given by Baume, 1959